Mosquitoes whose larvae lie horizontal on water and thus rest parallel to surface of water:
1. Aedes
2. Anopheles
3. Culex
4. Mansonides

Correct answer: 2. Anopheles

Explanation: Ans. b (Anopheles). (Ref. Park's textbook of PSM 22nd/ pg. 718)Bite of female anopheles is the most common mode of transmission.There are 4 stages in the life history of mosquitoes:Egg (1-2 days)number, shape, and lateral floatsLarva (5-7 days)siphon tube and palmate hairPupa (1-2 days)siphon tubeAdult (7-10 days)wings and palpiUnder favorable conditions of temperature and food supply, life cycle from egg to adult takes 7-10 days and normal adult mosquito lives for about 2 weeks.TRIBE GENUS ANOPHELINI/ANOPHELES CULICINI/CULEX, AEDES, MANSONIAEGGS1.Laid singly1.Laid in clusters or rafts containing 100-250 eggs (except aedes) 2.Boat shaped2.Oval shaped 3.Lateral floats +3.No lateral floatsLARVAE1.Rest horizontally i.e. parallel to surface of water1.Rest vertically i.e., suspended with head downwards at an angle to surface of water 2.No siphon tube2.Siphon tube present 3.Palmate hairs on abdominal segments3.No Palmate hairs on abdominal segmentsPUPAE1.Broad and short siphon tube1.Narrow and long siphon tubeADULTS1.At rest inclined at an angle to surface1.At rest, the body exhibits a hunch back 2.Spotted wings2.Un-spotted wings 3.Palpi long in both sexes3.Palpi short in females